The gene responsible for folic acid transport is situated on:
1. Chromosome 10
2. Chromosome 5
3. X Chromosome
4. Chromosome 21

Correct answer: 4. Chromosome 21

Explanation: . Chromosome 21